"Baby-friendly hospital initiative" (BFHI), created and promoted by WHO and _____
1. UNICEF
2. USAID
3. UNDP
4. FAO

Correct answer: 1. UNICEF

Explanation: A new "baby-friendly hospital initiative" (BFHI) is created and promoted by WHO and UNICEF. The initiative is a global effort to implement practices that protect, promote and support breastfeeding.